'Lead time' refers to the time between:
1. Disease onset and first critical diagnosis
2. Disease onset and first possible point of detection
3. First possible point of detection and final critical point
4. First possible point of detection and usual time of diagnosis

Correct answer: 4. First possible point of detection and usual time of diagnosis

Explanation: Lead Time Lead time is the advantage gained by screening (leading the time of diagnosis). It is time between First possible point of detection and usual time of diagnosis.